Choline esters like carbachol are most likely to cause which of the following adverse effects
1. Delirium
2. Anhydrosis (dry skin)
3. Salivation
4. Tachycardia

Correct answer: 3. Salivation

Explanation: Diarrhea, salivation, and lacrimation may be seen. The heart rate is usually slowed. Choline esters do not cross the blood-brain barrier, and therefore delirium is not an adverse effect. Ref:- KD Tripathi